Which is true about stop codon?
1. 3 codon coding for one amino acid
2. 3 codon coding for whole DNA
3. 3 codon coding for whole RNA
4. 3 codon act as terminator codon

Correct answer: 4. 3 codon act as terminator codon

Explanation: Ans. (d) 3 codon act as terminator codon* Stop codons are a normal part of protein synthesis--they are the reason that all proteins do not go on 'forever.During translation, it is stop codon on mRNA sequence, that terminates the process. Therefore they are known to act as terminator codon.* There are three stop codons namely:# UAG: Amber# UGA: Opal# UAA: OchreInitiator codon:* In eukaryotes: AUG (codes for methionine)* In prokaryotes: AUG (codes for N-Formyl methionine)* UGA codes for tryptophan in mitochondrial DNA.